Bronchopneumonia complication in measles is due to -
1. Aspiration
2. Sinusitis
3. Bronchiolar obsturction
4. Immuno-modualtion

Correct answer: 4. Immuno-modualtion